Which amino acid is not present in creatine
1. Arginine
2. Methionine
3. Glycine
4. Lysine

Correct answer: 4. Lysine

Explanation: Creatine doesn't contain lysine, other 3 amino acids are part of creatine.